All the following drugs act on cannabinoid receptors except
1. Nabilone
2. Rimonabant
3. Mescaline
4. Dronabinol

Correct answer: 3. Mescaline

Explanation: Mescaline does not act on cannabinoid receptors. Dronabinol and nabilone increase appetite and act as antiemetics. Rimonabant is banned now(D/T increased suicides) Mescaline is a naturally occuring hallucinogenic drug. Ref: KD Tripathi, 8th ed